Submandibular salivary gland is divided into superficial and deep lobes by
1. Digastric tendon
2. Hypoglossus muscle
3. Mandible
4. Mylohyoid muscle

Correct answer: 4. Mylohyoid muscle

Explanation: The submandibular salivary gland is a large salivary gland situated in the anterior part of the digastrics triangle.The gland is about the size of a walnut.It is roughly J-shaped being indented by the posterior border of the mylohyoid which divides it into a larger part superficial to the muscle and a small part lying deep to the muscle.